Source of vitamin B12?
1. Animal source
2. Plant source
3. Milk
4. Fruits

Correct answer: 1. Animal source

Explanation: Ans. (a) Animal SourceRef: Harrison / 640Only source of vitamin B12 for humans is food of animal origin, e.g., meat, fish, and dairy products.Vegetables, fruits, and other foods of non-animal origin are free from cobalamin unless they are contaminated by bacteria. Cobalamin is synthesized solely by microorganisms.